Which of the following is SSRI:
1. Desipramine
2. Clomipramine
3. Fluvoxamine
4. Imipramine

Correct answer: 3. Fluvoxamine

Explanation: (Ref: Katzung, 14th ed. pg. 540)* SSRI are selective serotonin reuptake inhibitor. Causing increased level of only serotonin in synaptic cleft.* DOC in mild to moderate depression* Drugs are:# CITALOPRAM# ESCITALOPRAM: Most specific SSRI# FLUOXETINE: Longest acting (50 hrs)# FLUOXAMINE: Shortest acting# PAROXETINE# SERTRALINE* TCA: Tricyclic Antidepressant# Inhibit reuptake of serotonin, Noradrenaline (NA) and Dopamine (DA)# Drugs are: Imipramine, Trimipramine, Desipramine,Clomipramine, Nortryptiline, Amitryptilline* SNRI: Serotonergic Noradrenergic reuptake inhibitor# Inhibit reuptake of serotonin and NA# Drugs are: Venlafaxine, Desvenlafaxine, Duloxetine, Milnacipran, Levomilnacipran